For treatment of cerebral edema due to brain tumor, the corticosteroid used by preference is?
1. Hydrocortisone
2. Prednisolone
3. Dexamethasone
4. Triamcinolone

Correct answer: 3. Dexamethasone

Explanation: Ans. c (Dexamethasone) (Ref. KDT, Pharmacology, 6th ed., 285).# Dexamethasone: Very potent and highly selective glucocorticoid. Long acting, causes marked pituitary-adrenal suppression, but fluid retention and hypertension are not a problem. It is used for inflammatory and allergic conditions 0.5-5 mg/day oraL Shock, cerebral edema, etc. 4-20 mg/day i.v. infusion or i.m. injection. Also used topically.Educational Points: # Most potent glucocorticoid=>Beta Dexamethasone# Maximum glucocorticoid activity=>Dexamethasone# Glucocorticoid having max mineralocorticoid activity=>Hydrocortisone# Selective Mineralocorticoid action=>DOCA# Most potent Mineralocorticoid=>Aldosterone CompoundGlucoMineralGLUCOCORTICOIDSShort acting, (Biological t- <12hr)1. Hydrocortisone (cortisol)11Intermediate acting,(Biological t-12-36 hr)2. Prednisolone40.83. Methyl- prednisolone50.54. Triamcinolone50Long acting,(Biological t- > 36 hr)5. Dexamethasone2506. Betamethasone250MINERALO- CORTICOIDS 7. Desoxy- corticosterone scetate (DOCA)01008. Fludrocortisone101509. Aldosterone0.33000